Retrovirus is used for gene therapy because -
1. They have sequences common to human genome
2. They integrate rapidly into human genome
3. Economically viable
4. Easy to perform in labs

Correct answer: 2. They integrate rapidly into human genome

Explanation: Ans. is 'b' they integrate rapidly into human gene In gene therapy vector is an agent required to transfer gene to an appropriate cell.Vectors used in gene therapy are of two types:Retrovirus belong to the vectors which integrate completely in the host chromosome.Other viruses used as vectors in gene therapy. Lenti virus - fully integrated Adeno virus - as episomes